All are ocular emergencies except:
1. Angle closure glaucoma
2. Central serous retinopathy
3. Retinal detachment
4. Central retinal arterial occlusion

Correct answer: 2. Central serous retinopathy

Explanation: B i.e. Central serous retinopathy Ocular emergency are the diseases that causes sudden loss of vision. CRAO, RD & acute angle closure glaucoma all leads to sudden loss of vision. Central serous retinopathy (CSR) is a self-limiting disease of young or middle age males with type A personality.